Duchennes pseudo muscular hypertrophy is inherited as -
1. Authosomal recessive
2. Autosomal dominant
3. X-linked dominant
4. X-linked recessive

Correct answer: 4. X-linked recessive